A child was found to have hypoglycemia, hepatomegaly and muscle weakness. On histopathological examination, there was accumulation of highly branched glycogen called limit dextrins. He is likely to be suffering from -
1. Von Gierke's disease
2. Anderson's disease
3. McArdle's disease
4. Cori's disease

Correct answer: 4. Cori's disease

Explanation: . Cori's disease